In amyloidosis Beta pleated sheet will be seen in-
1. X-ray crystallography
2. Electron microscope
3. Spiral electron microscope
4. Congo red stain

Correct answer: 1. X-ray crystallography

Explanation: Beta pleated sheets in amyloidosis is seen by X- ray crystallography. Basic Pathology, Robbins. Page no.:156